Human placenta is best described as :
1. Discoid
2. Hemochorial
3. Deciduate
4. All of the above

Correct answer: 4. All of the above

Explanation: is hemochorial because of direct contact of chorion with maternal blood deciduate because some maternal tissue is shed at parturition A discoid placenta is placenta with flat circular shape and in which the chorionic villi are arranged in a circular plate. Reference: Dutta's Textbook of Obstetrics 7th edition page 28